Which of the following adverse effects is most likely to occur with sulfonamides ?
1. Neurologic effects including headache, dizziness, and lethargy
2. Hematuria
3. Fanconi's anemia
4. Skin reactions

Correct answer: 4. Skin reactions